ANCA is positive in
1. Wegener's granulomatosis
2. Churg strauss syndrome
3. Microscopic PAN
4. All

Correct answer: 4. All

Explanation: Ref - Researchgate.net